In a newborn child we generally see:
1. Maxillary protrusion
2. Maxillary retrusion
3. Mandibular protrusion
4. Mandibular retrusion

Correct answer: 4. Mandibular retrusion